Poison resembling viper snake bite is:
1. Ricin
2. Crotin
3. Abrin
4. Bhi

Correct answer: 3. Abrin

Explanation: Ans. C i.e. Abrin